Skip granulomatous lesions are seen in ?
1. Ulcerative colitis
2. Crohn's disease
3. Whipple's disease
4. Reiter's disease

Correct answer: 2. Crohn's disease

Explanation: Ans. is 'b' i.e., Crohn's Disease Features of CD In the affected segment, mesentric fat wraps around the bowel surface --> creeping fat o The intestinal wall is rubbery and thick, as a consequence of edema, inflammation, fibrosis, and hypertrophy of the muscularis propria --> lumen is almost always narrowed --> string sign on barium meal. o A classic feature of CD is the sharp demarcation of diseased bowel segments from adjucent uninvolved bowel. o When multiple bowel segments are involved, the intervening bowel is normal --> skip lesions. o There are serpentine linear ulcer along the axis of bowel. As the intervening mucosa tends to be relatively spared, the mucosa acquires a coarsely textured Cobblestone appearance. o Narrow fissures develop between the folds of the mucosa. Fissures can penetrate deeply through the bowel wall and leading to bowel adhesions and serositis. o Further extension of fissures leads to fistula or sinus tract formation. o There is transmural inflammation affecting all layers of bowel wall. Sarcoid like noncaseating granulomas may be present in all tissue layers. o Neutrophilic infiltration into the crypts results in formation of crypt abscess. o Fibrosis of the submucosa, muscularis propria, and mucosa eventually leads to stricture formation. There is an increased incidence of cancer of GIT in patients with long-standing CD, but the risk of cancer in CD is considerably less than in patients with chronic UC.